Catabolism of H202 is carried out by
1. Peroxisomes
2. Mitochondria
3. Endoplasmic reticulum
4. Lysosomes

Correct answer: 1. Peroxisomes

Explanation: A i.e. Peroxisomes